Which of the following drugs inhibits de nove synthesis of purines?
1. Cyclosporine
2. Tacrolimus
3. Mycophenolate
4. Infliximab

Correct answer: 3. Mycophenolate

Explanation: (Ref: KDT 6/e p841) By inhibiting the enzyme IMP dehydrogenase, mycophenolate inhibits the de novo synthesis of purines.